The type of breast carcinoma characterized by a pushing border
1. Invasive ductal
2. Invasive lobular
3. Mucinous
4. Medullary

Correct answer: 4. Medullary

Explanation: Medullary carcinoma is a rare subtype of carcinoma, accounting for less than 1% of breast cancers. These cancers consist of sheets of large anaplastic cells with well circumscribed, "pushing" borders Clinically, they can be mistaken for fibroadenomas ref : Robbins Basic Pathology, 9E,page-712